Corrosion of Silver cones is due to presence of
1. Cobalt
2. Tin
3. Nickel
4. zinc

Correct answer: 3. Nickel